Mallory Hyaline is characteristically seen with -
1. Yellow fever
2. Hepatitis B infection
3. Alcoholic hepatitis
4. Primary sclerosing cholangitis

Correct answer: 3. Alcoholic hepatitis